Primary function of cementum is
1. Root formation
2. Attachment
3. Repair
4. Protection

Correct answer: 2. Attachment

Explanation: The primary function of cementum is to provide attachment of the tooth to alveolar bone socket through Sharpey’s fibres.